Which anaesthetic gas has high propensity to accumulate in cavities?
1. Halothane
2. Nitrous oxide
3. Ether
4. Sevoflurane

Correct answer: 2. Nitrous oxide

Explanation: N2O can increase pressure significantly in closed air spaces (cavities) because for 1 mole of nitrogen removed 35 moles of N2O is replaced.